Octreotide is given in all the following conditions except-
1. Bleeding esophageal varices
2. Secretory diarrhea
3. Infective diarrhea
4. Acromegaly

Correct answer: 3. Infective diarrhea

Explanation: Ans. is 'c' i.e., Infective diarrhea Octerideo It is synthetic somatostatin analogue.o It is more potent and longer acting than somatostatin - preferred over somatostatin.o It is used in acromegaly, bleeding esophageal varices (portal hypertension) and secretory diarrhea associated with carcinoid, WDHA syndrome, gastrinoma and glucagonoma.o It is given by s.c. or Lv. route.